A patient is suffering from SLE. On immunofluorescence showed granular deposits at the dermoepidermal junction. What is the constituent in these depostis?
1. Anticuclear antibodies
2. Antiepithelial antibodies
3. Antibodies against collagen
4. Immune complex deposits

Correct answer: 4. Immune complex deposits

Explanation: Immunofluoresence in dermatology Disease IgG IgM IgA C3 Flbrin IF pattern Antigen Pemphigus Vulgaris ++ ++ Intercellular- between epidermal cells Network pattern Desmoglein 3 Ig A pemphigus ++ Do Paraneoplastic pemphigus + + + + Do Desmoplakin Bullous pemphigoid ++ ++ Linear deposits along BMZ BP230 BP180 Epidemolysis bullosa aquisita ++ ++ do Collagen 7 Dermatitis Herpatiformis ++ + Granular papillary tip deposits along BMZ Epidermal transglutaminase SLE ++ ++ ++ Granular deposits along BMZ Lichen planus + + + + ++ Ovoid bodies with ragged fibrin band along BMZ Bollous SLE + ++ Linear BMZ deposits Collagen 7 Porphyria ++ + Perivascular and BMZ deposits Amyloid + ++ ++ ++ Globular deposits in tips of apillary dermis